Nerve most commonly injured in Mac Burneys incision -
1. Subcostal
2. Iliohypogastric N.
3. 11th thoracic
4. Ilioinguinal

Correct answer: 2. Iliohypogastric N.

Explanation: Ans. is 'b' i.e.. Iliohypogastric N. o "Right inguinal hernia is more common following a grid iron (MC Burney's) incision for appendiccectomy and is due to injury to the iliohypogastric nerve" - Bailey & Love